Characterstic X Ray finding in ASD is:
1. Enlarged left ventricle
2. Enlarged left atria
3. Pulmonary pletheora
4. PAH

Correct answer: 3. Pulmonary pletheora

Explanation: C i.e. Pulmonary plethora